AML with worst prognosis:
1. 8/21 translocation
2. Inversion 16
3. Normal cytogenetics
4. Monosomy 7

Correct answer: 4. Monosomy 7

Explanation: PROGNOSIS OF AML: Good prognostic factors: t(8;21) inv16 t(15;17) CEBPA mutation NPM mutation Down syndrome Bad prognostic factors: Monosomy 7 5q deletion FLT3 - internal tandom duplication